Sago grain like lesions between fingers is
1. Pompholyx
2. Erythema multiformae
3. Scabies
4. Papular utricaria

Correct answer: 1. Pompholyx

Explanation: Dyshidrosis, is a type of dermatitis, that is characterized by itchy blisters on the palms of the hands and bottoms of the feet.Blisters are generally one to two millimeters in size and heal over three weeks.However, they often recur.Redness is not usually present. Repeated attacks may result in fissures and skin thickening. also called as pompholyx Cause: Triggers may include allergens, physical or mental stress, frequent hand washing, or metals.Diagnosis is typically based on what it looks like and the symptoms.Allergy testing and culture may be done to rule out other problems. Other conditions that produce similar symptoms include pustular psoriasis and scabies. Avoiding triggers may be useful as may a barrier cream.Treatment is generally with steroid cream.High strength steroid creams may be required for the first week or two. Antihistamines may be used to help with the itch] If this is not effective steroid pills, tacrolimus, or psoralen plus ultraviolet A (PUVA) may be tried. About 1 in 2,000 people are affected in Sweden.Males and females appear to be affected equally.It explains about one in five cases of hand dermatitis.The first description was in 1873. The name comes from the word "dyshidrotic", meaning "difficult sweating", as problems with sweating was once believed to be the cause Ref Harrison20th edition pg 2345